Treatment agent for scarlet fever is
1. Penicillin
2. Ciprofloxacin
3. Erythromycin
4. Chloramphenicol

Correct answer: 1. Penicillin

Explanation: Ans. is 'a' i.e., Penicillin Treatment : Immediate hospitalization and isolation of the patient is indicated. Penicillin is the treatment of choice.